Immunoglobulin present in local secretion is?
1. IgG
2. IgA
3. IgM
4. IgD

Correct answer: 2. IgA

Explanation: In its secretory form, IgA is the main immunoglobulin found in mucous secretions, including tears, saliva, sweat, colostrum and secretions from the genitourinary tract, gastrointestinal tract, prostate and respiratory epithelium. It is also found in small amounts in blood. Ref: Ananthanarayan & Panikers textbook of microbiology 9th edition pg:98